The most important source of histamine -
1. Mast cells
2. Eosinophil
3. Neutrophil
4. Macrophages

Correct answer: 1. Mast cells

Explanation: Ans. is 'a' i.e., Mast cells Mast cells and basophilso Mast cells and basophils are important inflammatory' cells,o They precipitate in both acute & chronic inflammation.o Basophils circulate in the blood, whereas mast cells reside and mature in tissues.o They are the most important cells in immediate hypersensitivity and are also the most important source of histamine.o Other secretions are : Serine proteases, Carboxypeptidases, Giycosidoses, Proteoglycans, Sulfatases.